Mulberry molars are characteristic features of
1. Severe fluorosis
2. Trauma at the time of birth
3. Congenital syphilis.
4. Due to chronic suppurative abscess in over lying gingival tissue

Correct answer: 3. Congenital syphilis.